Intercalated disk of cardiac muscle contains all of the following except:
1. Fasciae adherens
2. Zona occludens
3. Gap junctions
4. Desmosomes

Correct answer: 2. Zona occludens

Explanation: Components of intercalacted disk

Fasciae adherens / Zonula adherens
Gap junctions
Desmosomes